24 yr old women who had home delivery 2 weeks back, now presents with complete perineal tear. What the next line of management?
1. Repair immediately
2. Repair after 3 weeks
3. Repair after 6 months
4. Repair after 3 months

Correct answer: 4. Repair after 3 months

Explanation: Recent tearshould be repairedimmediately following the delivery of the placenta. This reduces the chance of infection and minimizes the blood loss. In cases of delay beyond 24 hours, the repair is to be withheld. Antibiotics should be started to prevent infection. The complete tear should be repaired after 3 months if delayed beyond 24 hours.